The most important risk factor for development of post partum uterine infection/sepsis is:
1. Anemia
2. Route of delivery
3. Diabetes
4. Obesity

Correct answer: 2. Route of delivery

Explanation: Ans. is 'b' i.e., Route of deliveryThe route of delivery is the single most significant risk factor for the development of uterine infection.Compared with cesarean delivery, metritis following vaginal delivery is relatively uncommon.Most female pelvic infections are caused by bacteria indigenous to the female genital tract.